The major contribution of the amniotic fluid after 20 weeks of gestation :
1. Ultrafiltrate and maternal plasma
2. Fetal urine
3. Fetal lung fluid
4. Fetal skin

Correct answer: 2. Fetal urine

Explanation: Fetal urine